A major function of the epididymis is
1. Storage and transport of mature sperm
2. Production of testosterone
3. Secretion of estrogens
4. Production of inhibin

Correct answer: 1. Storage and transport of mature sperm